The following tumours commonly metastasise to the ovary, except :
1. Malignant melanoma
2. Stomach
3. Oesophagus
4. Lymphoma

Correct answer: 3. Oesophagus

Explanation: Ans. is c i.e. Oesophagus